Heat stiffening occurs when person exposed at a temp of
1. 30c
2. 40c
3. 50c
4. 60c

Correct answer: 4. 60c

Explanation: When body is exposed to temperature above 65oC, a rigidity is produced. It is seen in deaths from burning, high voltage electric shock, from falling into hot liquids.